Topical mitomycin-C is used in:
1. Sturge-Weber syndrome
2. Laryngotracheal stenosis
3. Endoscopic angiofibroma
4. Skull base osteomyelitis

Correct answer: 2. Laryngotracheal stenosis

Explanation: Mitomycin C This highly toxic drug is used only in resistant cancers of stomach, cervix, colon, rectum, bladder, etc. It is transformed intracellularly to a form which acts as an alkylating agent and kills cells in G1-M phases. Bone marrow and g.i.t. are the primary targets of toxicity. Mitomycin topical eye solution is used to help in glaucoma surgery. This medicine belongs to the group of medicines called antimetabolites. Stomach Cancer, Pancreas Cancer 20 mg/m2 IV q6-8Weeks Anal Carcinoma (Off-label) 10 mg/m2 as IV bolus days 1-29; not to exceed 20 mg/dose Mitomycin-C is an antineoplastic antibiotic that acts as an alkylating agent by inhibiting DNA and protein synthesis. It can inhibit cell division, protein synthesis, and fibroblast proliferation. Topical application of mitomycin-C (0.4 mg/mL) was used as an adjuvant treatment in the endoscopic laser management of laryngeal and tracheal stenosis . REFERENCE: ESSENTIALS OF MEDICAL PHARMACOLOGY,www.medscape.com,www.mayoclinic.org, www.ncbi.nlm.nih.gov